Reversion of Neisseriagonorrhoeae from a fimbriated (fim 1) to a non-fimbriated (fim 2) state would result in which one of the following phenomena?
1. Inability of N. gonorrhoeae to colonize the mucosal epithelium
2. Reversion to a Gram-positive stain
3. Death of the organism
4. Loss of serologic specificity

Correct answer: 1. Inability of N. gonorrhoeae to colonize the mucosal epithelium

Explanation: Bacteria may shift rapidly between the fimbriated (fim +) and the non-fimbriated (fim -) states. Fimbriae function as adhesions to specific surfaces and consequently play a major role in pathogenesis. Lack of fimbriae prevents colonization of the mucosal surface by the bacterium.